Oxaloacetate synthesized from which amino acid -
1. Aspartate
2. Glycine
3. Serine
4. Valine

Correct answer: 1. Aspartate

Explanation: Ans. is 'a' i.e., Aspartate* Oxaloacetate, an intermediate in citric acid cycle is formed from Aspartate and Asparagine# Aspartate undergoes transamination in the presence of Aspartate Transaminase (AST) or Serum Glutamate Oxaloacetate Transaminase (SGOT)# Aspartate + a Ketoglutarate------------Oxaloacetate + Glutamate AST/ SGOT # Asparagine in the presence of Asparaginase, gets converted to Asparate. Aspartate is then converted to OxaloacetateAsparagine------------Aspartate + NH3 ASPARAGINASE